In comparison to digoxin, digitoxin has ?
1. Less plasma protein binding
2. More plasma half life
3. Less oral absorption
4. More daily elimination

Correct answer: 2. More plasma half life

Explanation: Ans. is. b'i.e., More plasma half lifeIn comparison to digoxin,Digitoxin: More ; Oral absorption; plasma protein binding, onset & dvation; plasma t%, plasma concentration. Less: Daily elimination; daily maintenance dose.